A 40 year old woman presents with a 2 year old H/o erythematous papulo pustular lesions on convexities of the face. There in a background of erytherma & telengiectasia. The episodes are exacerbated with eating spicy foods and hot drinks.The most likely diagnosis is -
1. Acne vulgaris
2. Acne Rosacea
3. SLE
4. Polymorphic light eruption

Correct answer: 2. Acne Rosacea

Explanation: acne rosacea is a vascular disorder predominantly effecting central face manifesting with erythema and telengiectasia,with episodes of inflammation during the periods of inflammation papules , pustules swelling will develop. agravated by eating hot spicy foods alcohol, extremes of temperatures. Acne vulgaris is characterised by the presence of open or closed comedones systemic lupus erythematosus the rash is fixed over the malar area and nose, aggravated by exposure to sunlight. Rash is erythematosus with mild superficial scaling. There is characteristic sparing of nasolabial folds. There is systemic involvement with arthritis polymorphous light eruption characteristically occurs over the exposed face outer aspect with Macauley's or papules or plaques. Distribution is over the forehead temples and mandibular areas of face iadvl text book of dermatology, page 856